Which strain of streptococci is implicated in neonatal meningitis is:
1. Group-A
2. Group-B
3. Group-C
4. Group-D

Correct answer: 2. Group-B

Explanation: Group-B